Which of the following is not seen in apoptosis?
1. Nuclear fragmentation
2. Cellular shrinkage
3. Inflammation
4. Alteration in cellular membrane structure

Correct answer: 3. Inflammation

Explanation: Following changes are seen in apoptosis: Reduced cell size (shrinkage) Nuclear fragmentation into nucleosome-size segments Plasma membrane is intact, however, there is alteration in structure (changes in orientation of lipids) Formation of apoptotic bodies Inflammation is not seen in the vicinity of apoptotic cells